Short term memory conversion to long-term memory takes place in
1. Hypothalamus
2. Thalamus
3. Hippocampus
4. Amygdala

Correct answer: 3. Hippocampus

Explanation: Short-term memory lasts seconds to hours during which processing in the hippocampus and elsewhere lays down longterm changes in synaptic length.Ref: Ganong's review of medical physiology; 23rd edition; pg:290.